Quadruple test is used for-
1. Down's syndrome
2. Edward syndrome
3. Turner syndrome
4. Marfan syndrome

Correct answer: 1. Down's syndrome

Explanation: Ans. is 'a' i.e., Down's syndrome Tests used to detect Down .v syndrome ftrisomies)o "Triple test(MSAFP, UE3, total hCG)o Quadruple test(MSAFP, UE3, total hCG & Inhibin A)